True regarding endothelin 1 are all, except
1. Bronchodilation
2. Vasoconstriction
3. Decreased GFR
4. Has inotropic effect

Correct answer: 1. Bronchodilation